Chepuwa is
1. Beating on soles
2. Beating on abdomen
3. Thighs tied with bamboo
4. Suspension by wrist

Correct answer: 3. Thighs tied with bamboo

Explanation: Chepuwa is a common type of torture practiced on Bhutanese refugees in Nepal, victims legs or thighs are clamped very tightly with bamboo sticks or similar objects causing severe pain. Ref: Dogra and Rudra Lyon's Medical Jurisprudence and Toxicology eleventh edition page 693